Blisters are seen in
1. 1st degree burn
2. Superficial 2nd degree burn
3. Deep 2nd degree burn
4. 3rd degree burn

Correct answer: 2. Superficial 2nd degree burn

Explanation: Superficial second degree burns Involve upper layer of dermis (papillary dermis) Erythematous Blisters are seen Blanch to touch Painful Heals without scarring in 7-14 days Ref: Sabiston 20th edition Pgno :506-507